All are clinical features of myasthenia gravis,except -
1. Spontaneous remission
2. Absent deep tendon reflexes
3. Proximal muscle involvement
4. Worsen by exertion

Correct answer: 2. Absent deep tendon reflexes